Chondroblastoma most commonly occurs in :
1. Metaphysis
2. Diaphysis
3. Epiphysis
4. Medullary cavity

Correct answer: 3. Epiphysis

Explanation: Ans. is 'c' ie Epiphysis Apley's orthopedics writes - "Chondroblastoma is one of the few lesion to appear primarily in the epiphysis"